Lesch Nyhan -
1. X-link recessive
2. AD
3. AR
4. X-link dominant

Correct answer: 1. X-link recessive

Explanation: Ans. is 'a' i.e., X-link recessive [Ref: Nelson 18th/e Chapter 89)Lasch nyhan disease (LND)o X-link recessive disordero Defect in purine metabolismo Deficiency of HPRT enzymeo Manifest as hyperuricemia, intellectual disability, dystonic movement disorder like chorea-athetosis, spasticity, dysarthric speech.